Which of the following organ is spared from vasoconstriction during hypovolemic shock?
1. Skin
2. Heart
3. Kidney
4. Liver

Correct answer: 2. Heart

Explanation: In severe hypovolemic shock, tachycardia is replaced by bradycardia. Vasoconstriction is generalized, sparing only the vessels of the brain and heart. This widespread reflex vasoconstriction also helps in maintain the filling pressure of the heart. Ref: Ganong Review Of Medical Physiology By Barrett, 2010, Page 516.